Transfer factor is an example of:
1. Artificial active immunity
2. Natural active immunity
3. Adoptive immunity
4. Artificial passive immunity

Correct answer: 3. Adoptive immunity

Explanation: Acquired by injection of immunologically competent T-lymphocytes known as Transfer factor
Used for treatment when the CMI is low, e.g. Lepromatous leprosy.